Increased capillary permeability is caused by all of the following except
1. Anaphylatoxin
2. 5 hydroxytryptamine
3. Renin
4. Histamine

Correct answer: 3. Renin

Explanation: Renin cause the vasoconstriction and increase the BP. It is released by the RAASmechanism Robbins 9th edition page no. 329